A 47 year old woman complains of postcoital bleeding, nearly as heavy as menses. The most likely origin of her bleeding would be cervical :
1. Polyps
2. Ectrooion
3. Carcinoma
4. Nabothian cysts

Correct answer: 3. Carcinoma

Explanation: Carcinoma